Metabolic acidosis is seen in all except:
1. Diabetic ketaacidosis
2. Emphysema
3. Aspirin overdose
4. Uremia

Correct answer: 2. Emphysema

Explanation: Ans. B: Emphysema Metabolic acidosis occurs when the body produces too much acid, or when the kidneys are not removing enough acid from the body Diabetic acidosis Hyperchloremic acidosis results from excessive loss of sodium bicarbonate from the body, Lactic acidosis is a buildup of lactic acid-alcohol, cancer, liver failure, low blood sugar Common mnemonic is mudpile M - Methanol U - Uremia D - Diabetic Ketoacidosis (also alcohol ketosis, starvation ketosis) P - Para-aldehyde I - Isoniazid, Iron, Inborn Errors of Metabolism L - Lactic Acid E - Ethylene Glycol S - Salicylates